The effect of cholera toxin is mediated the stimulation of following second messenger:
1. cAMP
2. cGMP
3. Calcium-calmodulin
4. Acetylcholine

Correct answer: 1. cAMP

Explanation: Ans. (a) cAMP